Specific stain for myeloblasts -
1. Sudan black
2. PAS
3. Myeloperoxidase
4. LAP

Correct answer: 3. Myeloperoxidase

Explanation: The specific stain for myeloblast is myeloperoxidase And the specific stain for erythroblasts is periodic acid schiff Reference :textbook of Pathology 6th edition Author Harsha Mohan page number 362